Which of the following is not sexually transmitted
1. Lymphogranuloma
2. Genital herpes
3. Bacterial vaginosis
4. Syphilis

Correct answer: 3. Bacterial vaginosis

Explanation: Bacterial vaginosis is not sexually transmitted disease.